Which of the following milestones is not developed at 1 year?
1. Stand without support
2. Plays peek a boo
3. Can speak "mama", "papa"
4. Draws a circle

Correct answer: 4. Draws a circle

Explanation: A child is able to copy a circle at 3 years age